The refracting structures of the eye constitute a homocentric system of lenses. Refractive power of cornea is:
1. 1.31
2. 1.33
3. 1.37
4. 1.42

Correct answer: 3. 1.37

Explanation: Refractive power Value Cornea Aqueous humor Lens Vitreous humor 1.37 1.33 1.42 1.33 Ref: Comprehensive Ophthalmology by A K Khurana, 4th edition, Page 26.